LA causing cutaneous vasoconstriction:
1. Lidocaine.
2. Ropivacaine.
3. Mepivacaine.
4. Procaine.

Correct answer: 2. Ropivacaine.